Isomer differences of position of -H and -OH at 2", 3', and 4' carbon atom of glucose are called?
1. Optical isomers
2. Epimers
3. Anomers
4. D,L isomers

Correct answer: 2. Epimers

Explanation: Ans. is 'b' i.e., Epimers Isomers differing as a result of variations in configuration of the -OH and -H on carbon atoms 2, 3, and 4 of glucose are known as epimers. Biologically, the most important epimers of glucose are mannose and galactose, formed by epimerization at carbons 2 and 4, respectively